All of the following are paraneoplastic syndromes of bronchogenic carcinoma except:
1. Hyper calcemia
2. SIADH
3. Myasthenia gravis
4. Acanthosis nigricans

Correct answer: 3. Myasthenia gravis

Explanation: Bronchogenic carcinoma can lead to cambert-Eaton syndrome, not Myastheniagravis.